Most common malignancy in children is –
1. Leukemia
2. Lymphoma
3. Wilm's tumor
4. Neuroblastoma

Correct answer: 1. Leukemia

Explanation: Most common childhood tumor → Leukaemia
Most common childhood leukemia → ALL
Most common solid tumor of childhood → Brain tumor
Most common tumor in infancy → Neuroblastoma
Most common abdominal tumor in child → Neuroblastoma